Synthesis of an immunoglobulin in membrane bound of secretory form is determined by -
1. One turn to two turn joining rule
2. Class switching
3. Differential RNA processing
4. Allelic exclusion

Correct answer: 3. Differential RNA processing